Which of the following is the rate limiting enzyme of bile acid synthesis
1. Mitochondrial 17 α hydroxylase
2. Cytoplasmic 7 α hydroxylase
3. Microsomal 7 α hydroxylase
4. Mitochondrial 7 α hydroxylase.

Correct answer: 3. Microsomal 7 α hydroxylase

Explanation: Microsomal 7 α hydroxylase (cholesterol 7 α hydroxylase) is the rate limiting enzyme of bile acid synthesis. This enzyme is expressed only in liver.